Nitrosoureas used in the treatment of cancer are-
1. a) Carmustine
2. 5FU
3. Methotrexate
4. Cisplatin

Correct answer: 1. a) Carmustine

Explanation: Ans. is 'a' i.e., Carmustine Nitrosoureaso Nitrosoureas (Lomustine and carmustine) are highly lipid soluble alkylating agents - cross blood - brain barrier - Effective in meningeal leukaemias and brain tumours,o Nitrosoureas are highly lipid soluble and can cross blood brain barrier - used in brain tumors like gliomas.o Because they cross BBB, most common adverse effects are nausea, vomiting and other CNS effects,o Bone marrow depression is peculiarly delayed, taking nearly 6 weeks to develop. - delayed neutropeniao Nitrosoureas can cause visceral fibrosis and renal damage.